The prevention of emergence or development of risk factors in countries where they have not appeared is what type of prevention?
1. Primary
2. Secondary
3. Tertiary
4. Primordial

Correct answer: 4. Primordial

Explanation: Primordial prevention: 
Primordial prevention is the prevention of the emergence or development of risk factors in countries or population groups in which they have not yet appeared.
Soben Peter 
Essentials of preventive and community dentistry 
4th edition